A 62 year old diabetic female patient presented with history of progressive right-sided weakness of one-month duration. The patient was also having speech dificulty. Fudus examination showed papilledema. Two months ago, she also had a fall in her bathroom and struck her head against a wall. The most likely clinical diagnosis is:
1. Alzheimer's disease
2. Left parietal glioma
3. Left MCA territory stroke
4. Left chronic subdural haematoma

Correct answer: 4. Left chronic subdural haematoma

Explanation: Answer is D (Left chronic subdural hematoma): The presence of progressive hemiparesis and aphasias together with signs of raised ICT (papilloedema) in an elderly patient, developing weeks after sustaining a mild head injury is characteristic of chronic subdural hematoma.